Which of the following drugs are believed to be effective in the treatment of post–operative shivering ?
1. Ondansetron
2. Diclofenac Sodium
3. Pethidine
4. Paracetamol

Correct answer: 3. Pethidine

Explanation: "Unlike other opioid agonists, meperidine (pethidine) frequently terminates shivering regardless of the cause".
____ Morgan